Under physiological conditions heat acclimatization is accomplished by all except
1. Decreased renal blood flow
2. Increased urine sodium
3. Increased aldosterone secretion
4. Excessive sweating

Correct answer: 2. Increased urine sodium

Explanation: During heat acclimatization, body tries to conserve the fluids and Na+. So the Na+ content in urine is low.